Best caries activity test used for field study is
1. Lactobacillus count test
2. Streptococcus mutans
3. Snyder's test
4. Saliva /tongue blade method

Correct answer: 4. Saliva /tongue blade method